Which is the most dangerous effect of belladonna in very young children
1. Dehydration
2. Hallucinating
3. Hypertension
4. Hyperthermia

Correct answer: 4. Hyperthermia

Explanation: Ref-KDT 6/e p113 Atropa belladonna contents anti cholinergic principles like atropine and hyoscine . Atropine is contra-indicated in children due to the risk of hyperthermia